Mechanism of action of imatinib mesylate is :
1. Increase in metabolism of P glycoprotein
2. Blocking the action of P glycoprotein
3. Blocks the action of chimeric fusion protein of bcr–abl
4. Non–competitive inhibition of ATP binding site

Correct answer: 3. Blocks the action of chimeric fusion protein of bcr–abl